Reflex responsible for tachycardia during right atrial distension is:
1. Bezold Jarisch reflex
2. Bain-bridge reflex
3. Cushing reflex
4. J reflex

Correct answer: 2. Bain-bridge reflex

Explanation: ANS. BThe Bain-bridge reflex, also called the atrial reflex, is an increase in heart rate due to an increase in central venous pressure. Increased blood volume is detected by stretch receptors (cardiac receptors) located in both atria at the venoatrial junctions.* Stimulus: Increase in venous return* Receptors: Both right and left atria* Afferent: Vagus* Efferent: Sympathetic nerves* Effect: TachycardiaOther important cardiac reflexes are:* Bezold-Jarisch reflex:- Stimulus: Intracardiac injection of chemicals like serotonin, capsaicin, veratridine- Afferent: Unmyelinated vagal C fibers- Response: Hypotension bradycardia- Mediated by serotonin* Marey's law: HR and BP are inversely related.